In embalming, solution is given through?
1. Veins
2. Arteries
3. Lymphatics
4. None of the above

Correct answer: 2. Arteries

Explanation: Ans. is 'b' i.e., Arteries o Arterial embalming is forcing of fluid in an artery to reach the tissues through arterioles and capillaries. The nearer the vessel to heart, the better the result. However multiple site '6 point' injection involves right and left common carotid arteries (for head and neck), bilateral axillary arteries (for upper limbs) and bilateral femoral arteries (for lower limbs).o Cavity embalming is recommended after 1/2-1 hour which will allow for hardening of viscera.